Which of the following IPC section defines punishment for fabricating false evidence?
1. Sec IPC 191
2. Sec IPC 192
3. Sec IPC 193
4. Sec IPC 197

Correct answer: 3. Sec IPC 193

Explanation: Sec IPC 193 defines punishment for fabricating false evidence. It is divided into two parts, first one lays done punishment for intentional giving of false evidence in a judicial proceeding or fabricating false evidence for the purpose of its being used in a judicial proceeding. The second one prescribes the punishment for intentionally giving false evidence of fabricating false evidence in any case other than a judicial proceeding. Sec 191 IPC Defines what amounts to giving false evidence by a person who is under legal obligation to speak the truth. Sec 192 IPC Defines the offence of fabricating false evidence. Sec 197 IPC Makes issuing or signing false certificates punishable. Ref: Textbook on the Indian Penal Code By Krishna Deo Gaur 4th edn page 332.